False regarding death due to hanging
1. Death occurs immediately if cervical vertebra is fractured
2. Death occurs rapidly if cause is asphyxia
3. Death occurs least rapidly if the cause is coma
4. Most hangings are painful deaths

Correct answer: 4. Most hangings are painful deaths

Explanation: Death due to hanging: - Death occurs immediately if cervical vertebra is fractured - Death occurs rapidly if cause is asphyxia - Death occurs least rapidly if the cause is coma - Most hangings are painless deaths - Fatal period - 3 to 5 minutes